Sarcoma botryoides is mostly seen in -
1. Neonates
2. Children under 2 years
3. Adults
4. Post menopausal

Correct answer: 2. Children under 2 years

Explanation: Sarcoma botryoides (Embryonal rhabdomyosarcoma) 

Sarcoma botryoides is an uncommon vaginal tumor most frequently found in infants and in children younger than 5 years of age.
The tumor consists predominantly of malignant embryonal rhabdomyoblasts.
The tumor have the appearance and consistency of grape like clusters.